Dermatitis and alopecia are due to deficiency of:
1. Zinc
2. Molybodenum
3. Magnesium
4. Calcium

Correct answer: 1. Zinc

Explanation: A i.e. Zinc